Which is not a content of Superior Orbital fissure
1. Optic nerve
2. Oculomotor nerve
3. Ophthalmic division of 3,1 nerve
4. Trochlear nerve

Correct answer: 1. Optic nerve

Explanation: A. i.e. Optic nerve Optic nerve & ophthalmic artery pass through optic canalQ not through superior orbital fissure